A 20 year old lady had a full term normal delivery 3 days ago. She complains of breast engorgement and swelling in regions at about the level of the umbilicus and at the lateral abdomen. There seems to be some leaking from these areas of swelling. Which of the following is the most likely diagnosis?
1. Hyperprolactinemia
2. Accessory breast tissue
3. Ascites
4. Cutaneous malignancy

Correct answer: 2. Accessory breast tissue

Explanation: These areas likely are accessory breast tissue. The "milk line" extends from the axilla to the groin area, and accessory mammary tissue may be present anywhere along this line. The mammary glands of the breasts develop embryologically as invaginations of surface ectoderm along two ventral lines, the milk lines, from the axillae to the groin. Extra nipples could also grow along the "milk line".